With regards to hereditary spherocytosis, which of the following is false
1. Usually has autosomal dominant inheritance
2. Caused by mutations in genes for proteins such as spectrin, ankrin or band 3
3. Red blood cells are destroyed in the spleen
4. Aplastic crises are common

Correct answer: 4. Aplastic crises are common

Explanation: Ans. is 'd' i.e., Aplastic Crisis are common Aplastic crisis are a rare/uncommon complication of Hereditary Spherocytosis typically caused by virally induced bone marrow suppression. The most common aetiological agent that induces Aplastic Crisis in patients with Hereditary Spherocytosis is Parvovirus B19 Hereditary spherocvtosis usually has autosomal dominant inheritance caused by mutation in genes for proteins such as spectrin. ankrin or band 3. The genes responsible for HS include akyrin, b spectrin, band-3-protein, a-spectrin, and protein 4.2. In approximately two-thirds to three-quarter of HS patients, inheritance is autosomal dominant. In the remaining patients, inheritance is non-dominant due to autosomal recessive inheritance of a de novo mutation. In patients with hereditary spherocvtosis Red blood cells are destroyed in the spleen The spleen plays a critical role in the pathobiology of HS, as destruction of spherocytes in the spleen is the primary cause of hemolysis in HS patients. Aplastic Crisis is an Uncommon Complication Aplastic crisis following virally induced bone marrow suppression are uncommon, but may result in severe anaemia with serious complications including congestive heart failure or even death. The most common aetiological agent in these cases is parvovirus B19. Parvovirus selectively infects erythropoietic progenitor cells and inhibits their growth